An abnormal Ham test is most likely associated with which of the following ?
1. Defect in spectrin
2. Defective GPI anchor
3. Defect in complement
4. Mannose-binding residue defect

Correct answer: 2. Defective GPI anchor